Initial protein requirement of a Kwashiorkor child (g/kg/day):
1. 0.5-1.0
2. 1.0-1.5
3. 1.5-2.0
4. 3-Feb

Correct answer: 2. 1.0-1.5

Explanation: b. 1.0-1.5(Ref: Nelson's 20/c p 295-306, Ghai 8/e p 96-107)Recommended daily energy and protein intake from initial feeds in a child with SAM is 100kcal/kg&1-1.5g/kg.